Capsid of viral structure is-
1. Extracellular infectious particle
2. Protein coat around nucleic acid
3. Envelop around a virus
4. None of the above

Correct answer: 2. Protein coat around nucleic acid

Explanation: Ans. is 'b' i.e., Protein coat around nucleic acid Structure of viruso The extracellular infectious virus particle is called as the virion.o The virion consist of a nucleic acid surrounded by a protein coat, the capsid.o The capsid with the enclosed nucleic acid is known as the nucleocapsid.o Two kinds of symmetry are encountered in the capsid -a) Icosahedral (cubical)b) Helicalo Virion may be enveloped or nonenveloped (naked).o Envelope is lipoprotein in nature, lipid is derived from host cell, while protein is virus coded.